The use of the following drug during pregnancy can lead to Mobius syndrome :
1. Warfarin
2. Phenytoin
3. Mifepristone
4. Misoprostol

Correct answer: 4. Misoprostol

Explanation: Mobius syndrome is a rare congenital neurological disorder which is characterised by facial paralysis & inability to move the eyes from side to side. It result from a vascular disruption in the brain during prenatal development The use of drugs misoprostol or thalidomide or cocaine by women during pregnancy can lead to mobius syndrome Shaw's textbook of Gynaecology,16th edition, page 289